In hanging, horizontal ligature mark can be seen in all of the following except
1. When running noose is applied
2. Low point of suspension
3. Partial hanging
4. Soft ligature material

Correct answer: 4. Soft ligature material

Explanation: In hanging, horizontal ligature mark can be seen - When running noose is applied (A noose is a loop at the end of a rope in which the knot tightens under load and can be loosened without.) - Low point of suspension - Partial hanging